Fidelity of protein translation depends on
1. RNA polymeraes
2. DNA polymeraes
3. M-RNA polymeraes
4. Amino acyl t-RNA synthetase

Correct answer: 4. Amino acyl t-RNA synthetase

Explanation: In translation, proof reading of mRNA is done by Amino acyl- tRNA synthetase. Amino acyl t-RNA synthetase is responsible for fidelity (faithfulness) of protein translation.